True about Generator potential
1. Not graded
2. Magnitude increased in direct proportion to strength of stimulus
3. All or none Phenomenon
4. Propagated

Correct answer: 2. Magnitude increased in direct proportion to strength of stimulus

Explanation: Ans. (b) Magnitude increased in direct proportion to strength of stimulus(Ref: Ganong, 25th ed/p.90)Local Potential/Generator PotentialAction PotentialCan be depolarizing or hyperpolarizingAlways depolarizingNo threshold valueDepolarization to threshold is a must for action potential to occurAmount of depolarization or hyperpolarization depends on intensity of stimulusAll or None - All stimuli that exceed threshold produce identical action potentialsEffect decreases with distance from stimulation siteNon decremental. Always propagating